Following conditions must be fulfilled in a person before taking him as a kidney donor EXCEPT
1. ABO compatibility with recipient
2. Presence of two normally functioning kidneys
3. No HIV infection
4. Zero HLA mismatch with recipient

Correct answer: 4. Zero HLA mismatch with recipient

Explanation: Ans. (d) Zero HLA mismatch with recipient(Ref: Harrison 18th/chapter 282)Donor for kidney transplantation:Donors can be deceased or volunteer living donors.Living donors are usually family members who have at least partial compatibility for HLA antigens.At least 50% HLA match (3/6) is a must requirement for kidney transplantLiving volunteer donors should be normal on physical examinationShould have the same major ABO blood group, because crossing major blood group barriers prejudices survival of the allograft.Should have two normally functioning kidneysDonor should be free of malignant neoplastic disease, hepatitis, and HIV